Platelet transfusion is not indicated in:
1. Dilutional Thrombocytopenia
2. Immunogenic Thrombocytopenia
3. Aplastic Anemia
4. DIC

Correct answer: 2. Immunogenic Thrombocytopenia

Explanation: Answer is B (Immunogenic Thrombocytopenia) Immunogenic thrombocytopenias are caused by immune mediated destruction of platelets and therefore platelet supplementation is unlikely to benefit. Hemorrhage in a case of immunogenic thrombocytopenia such as Idiopathic Thrombocytopenic Purpura (ITP) is controlled by - Glucocorticoids Intravenous Immunoglobulins Splenectomy